Maximum regenerative capacity is of ?
1. Liver cells
2. Kidney cells
3. Intestinal epithelium
4. Neurons

Correct answer: 3. Intestinal epithelium

Explanation: Ans. is 'c' i.e., Intestinal epitheliumCells with good regenerative capacityi) Surface epithelium (stratified squamous) of skin, oral cavity, vagina and cervix.ii) Lining mucosa of all excretory ducts of glands (Salivary gland, pancreas, biliary duct).iii) Columinar epithelium of GIT (Intestinal mucosa) and uterus.iv) Transitional epithelium of the urinary tract.v) Bone marrow cells and hematopoietic cells.vi) Basal cells of epithelia.Cells with limited regenerative capacity i) Parenchymal cells of liver, kidney and pancreas.ii) Mesenchymal cells, e.g., fibroblast and smooth muscles.iii) Vascular endotheliumiv) Osteoblast, chondroblastv) Resting lymphocytes and other leukocytes.Cells with no regenerative capacity i) Neuronsii) Cardiac muscleiii) Skeletal muscle.